Goat milk anemia is because of deficiency of
1. Iron deficiency
2. Folate deficiency
3. Vitamin B12 deficiency
4. None of the above

Correct answer: 2. Folate deficiency

Explanation: For cultural and other reasons, such as parental preference, goat milk is sometimes given in place of formula although this is not recommended. Goat milk has been shown to cause significant electrolyte disturbances and anemia because it has low folic acid concentrations.Ref: Nelson Textbook of Pediatrics; 20th edition; Page no: 290